Treatment recommended for secondary syphilis is
1. Benzathine penicillin G 2.4 mIU i.m weekly, 3 doses
2. Benzathine penicillin G 2.4 mIU i.m single dose
3. Benzathine penicillin G 2.4 mIU i.m twice weekly, 4 doses
4. Benzathine penicillin G 2.4 mIU i.m twice daily for 2 weeks.

Correct answer: 2. Benzathine penicillin G 2.4 mIU i.m single dose